Fertilised ovum reaches the uterine cavity by:
1. 4-5 days after fertilisation
2. 6-7 days after fertilisation
3. 7-9 days after fertilisation
4. 2-3 days after fertilisation

Correct answer: 1. 4-5 days after fertilisation

Explanation: Zygote enters the uterine cavity in the form of Morula on 4 that day after fertilisation. Ref:Datta Obs 9 e pg 24;JB Sharma Obs of 19.